Prolonged retention of primary tooth may lead to
1. Altered path of permanent tooth eruption
2. Root resorption of adjacent tooth
3. Ankylosis of permanent tooth
4. Warping of roots of adjacent teeth

Correct answer: 1. Altered path of permanent tooth eruption